Which of the following statements is FALSE regarding vincristine
1. It is an alkaloid
2. Its use is associated with neurotoxicity
3. It does not cause alopecia
4. It is a useful drug for induction of remission in acute lymphoblastic leukemia

Correct answer: 3. It does not cause alopecia

Explanation: Vincristine is a vinca alkaloid.
It is used for the induction of remission in ALL.
It is a marrow sparing drug but causes peripheral neuropathy, alopecia and SIADH as adverse effects.